Anti TB drug contraindicated in pregnancy is -
1. INH
2. Rifampicin
3. Streptomycin
4. None of the above

Correct answer: 3. Streptomycin

Explanation: Ans. is 'c' i.e., Streptomycin The following antituberculosis drugs are contraindicated in pregnant women-* Streptomycin* Kanamycin* Amikacin* Capreomycin* Fluoroquinolones